Most common site of cerebral aneurysm is:
1. Anterior communicating artery
2. Posterior communicating artery
3. Middle cerebral artery
4. None of the above

Correct answer: 1. Anterior communicating artery

Explanation: Prevalence of Cerebral Aneurysm by Location: Anterior circulation 85% 30% Anterior communicating artery 25% Posterior communicating artery 20% Middle cerebral artery bifurcation 10% Other Posterior circulation 15% 10% Basilar artery, most frequently at the basilar tip 5% Vertebral artery, usually at the posterior inferior cerebellar artery Ref: Schwartz's principle of surgery 9th edition, chapter 42.